The population frequency for phenylketonuria is 1 in 10,000. What is the carrier frequency for the disease?
1. Jan-50
2. 1/100
3. 1/500
4. 1/1000

Correct answer: 1. Jan-50

Explanation: a. 1/50(Ref: Nelson's 20/e p 598)It is based on Hardy Weinberg principle: Simplifying it,Carrier frequency for an autosomal recessive disorder = twice the square root of disease incidenceSo 2 X square root of 1/10,000 gives 1/50 as the answer.